All are used in treatment of Guillain-Barre syndrome except:
1. IV Ig
2. Plasmapheresis
3. Ventilatory support
4. Corticosteroids

Correct answer: 4. Corticosteroids

Explanation: Ans: d (Corticosteroids) Ref: Davidson, 19th ed,p. 1181; 20th ed, p. 1250; Harrison's, 16th ed, p. 2516Plasmaphersis and intravenous immunoglobulin are most effective when used within 2 weeks of onset of symptoms, both are equally effective in reducing the severity and duration of Guillain-barre syndrome, but there is no advantage in combining the two treatments.Intravenous immunoglobulin therapy is often the initial therapy because of ease of administration and good safety record. IV Ig is administered as five daily infusions for a total dose of 2 g/kg body weightCorticosteroids have been found to be ineffective in GBSApproximately 85% of patients achieve a full functional recovery within several months to a year, although minor findings on examination (such as areflexia) may persist.The moratality rate is <5% in optimal settings; death usually results from secondary pulmonary complications.BRIDGEIV Ig is also used in following cases:- Kawasaki disease- ITP- GVHD- Multiple sclerosis- Myasthenia gravis- Chronic inflammatory demyelinating polyneuropathy (C1DP)